Cotton wool spots are commonly seen in all except –
1. HIV
2. DM
3. Hypertension
4. CMV

Correct answer: 4. CMV

Explanation: Cotton wool spots occur rarely (not commonly) in CMV retinitis.